The primary site of multiplication of rickettsial organisms is in the -
1. Parenchymal cells of the liver
2. Endothelial cells of small vessels
3. Media of arteries
4. Adventitia of all blood vessels

Correct answer: 2. Endothelial cells of small vessels